In Kartagener syndrome, all are seen except:
1. Bronchiectasis
2. Situs inversus
3. Bronchial asthma
4. Sinusitis

Correct answer: 3. Bronchial asthma

Explanation: Ans: c (Bronchial asthma) Ref: Robbins, 7th ed,727; Harrison, 16th ed,p. 1542Kartagener's syndrome is characterized by bronchiectasis, situs inversus and sinusitis. It is associated with primary ciliary dyskinesia. Lack of ciliary activity interferes with bacterial clearance, predisposes sinuses and bronchi to infection and affects cell motility during embryogenesis, resulting in situs inversus. Males with this condition will be infertile due to ineffective mobility of sperm tail.